In colorectal cancer, tumor deposits in subserosa without regional lymph node metastasis. According to 8th AJCC, stage the tumor:
1. T4b
2. N2b
3. N1c
4. M1c

Correct answer: 3. N1c

Explanation: According to 8th AJCC, tumor deposits in subserosa without regional lymph node metastasis is stage N1c